Menopause is defined as cessation of menstruation for -
1. 3 consecutive months
2. 6 consecutive months
3. 12 consecutive months
4. 15 consecutive months

Correct answer: 3. 12 consecutive months